All are features of rosacea keratitis except
1. Corneal vascularisation
2. Central superficial ulcer
3. Chronic blepharoconjunctivitis
4. Progresses to involve the whole cornea

Correct answer: 2. Central superficial ulcer

Explanation: ROSACEA KERATITIS Corneal ulceration is seen in about 10 percent cases of acne rosacea, which is primarily a disease of the sebaceous glands of the skin. Clinical features : 1. The condition typically occurs in elderly women in the form of facial eruptions presenting as butterfly configuration, predominantly involving the malar and nasal area of face. 2. Ocular lesions: include chronic blepharoconjunctivitis and keratitis. Rosacea keratitis occurs as yellowish white marginal infiltrates, and small ulcers that progressively advance across the cornea and almost always become heavily vascularised. Ref:- A K KHURANA; pg num:-108